Which of the following carnial nerves does not carry parasympathetic outflow
1. Oculomotor
2. trochlear
3. Facial
4. Glossopharyngeal

Correct answer: 2. trochlear

Explanation: Parasympathetic carnial nerves are III(oculomotor),VII(facial),IX(glossopharyngeal) and X(vagus).